The protozoan causing dysenteric symptoms:
1. Balantidium coli
2. Entamoeba coli
3. Giardia
4. Trichomonas

Correct answer: 1. Balantidium coli

Explanation: Balantidium coli is a ciliate protozoan. It is the largest protozoan parasite & only ciliate infecting humans. It inhabits the large intestine of man and causes ciliate dysentery. Infective stage: binucleate cyst; spherical, ellipsoid, 50-75mm, double layered cyst wall. The invasive form is the trophozoite - 80-120mm; two nuclei (macronucleus, micronucleus), peristome, cytostome, cytopharynx, cytopyge Entamoeba coli is the comensal of human intestine usually not associated with disease. Giardia cause malabsorption and steattorhea not dysentry Trichomonas cause genital tract infection